Diffuse form of hyperpigmentation is seen in-
1. Vitamin B12, deficiency
2. Ectopic ACTH secretion
3. Whipple's disease
4. All of the above

Correct answer: 4. All of the above

Explanation: All the given options can cause diffuse hyperpigmentation (for detail read the causes of hyperpigmentation from the text of this chaptor).